The antibiotic tetracycline:
1. Is bactericidal drug.
2. Is a safe drug for administration irrespective of age and sex of the patients.
3. Is also administered along with penicillin.
4. Is a broad-spectrum antibiotic.

Correct answer: 4. Is a broad-spectrum antibiotic.

Explanation: Tetracycline is bacteriostatic and has a broad spectrum of action.